Which of the following is not affected in gout?
1. Muscle
2. Skin
3. Cartilage
4. Tendon

Correct answer: 1. Muscle

Explanation: Gouty arthritis : Joints (Toes, tarsus, ankle, hand), Bursa.
Tophi: Articular cartilage, Periarticular ligaments, tendons, earlobes, kidney, nasal cartilage, the skin of fingertips, palms & soles.